The most common congenital anomaly of the pancreas
1. Pancreatic divisum
2. Pancreatic cysts
3. Ectopic pancreas
4. Inversion of pancreatic ducts

Correct answer: 1. Pancreatic divisum

Explanation: Pancreas divisum is the most common clinically significant congenital pancreatic anomaly, with an incidence 3% to 10% in autopsy series.